Gastric glands contains following cells EXCEPT
1. Parietal cells
2. Paneth- cells
3. Mucous neck cells
4. Endocrinal cells.

Correct answer: 2. Paneth- cells

Explanation: B. i.e. (Paneth cells) (97-MK3rd) (241 -IBS. Histology 5th)* PANETH-CELLS - founds only in the deeper parts of intestinal crypts **Risch in zinc and have eosinophilic granule, secreting lysozyme and antibacterial substance (AI-09)GASTRIC-CELLS1. Chief or Zymogenic or peptic cells - secretes pepsin and lipase I located in body**2. Oxyntic or parietal cells - secretion of hydrochloric acid** and Intrinsic factor (glucoprotein)3. Mucous neck cells - secretes mucus4. Endocrine cells (Argentaffin cells) - secretes Gastrin hormone, serotonin (5HT)5. Undifferentiated cells (stem cells) - role in healing